Tense itching bulla is seen in?
1. Bullous pemphigoid
2. Dermatitis herpetiformis
3. Pemphigous vulgaris
4. Erythema multiforme

Correct answer: 1. Bullous pemphigoid

Explanation: Ans. is 'a' i.e., Bullous pemphigoid See explanation- 1 of session- 10 of Skin of All India 2014-15 pattern of this book.